GCS of 10 is classified as
1. Mild head injury
2. Moderate head injury
3. Severe head injury
4. Moribund head injury

Correct answer: 2. Moderate head injury

Explanation: Head injury classification using the GlasgowComa Scale (GCS) score.Minor head injury GCS 15 with no loss of consciousness(LOC)Mild head injury GCS 14 or 15 with LOCModerate head injury GCS 9-13Severe head injury GCS 3-8Bailey and love 27e 329